A 35-year-old woman presents with amenorrhea and weight loss despite increased appetite. The history and physical examination reveal exophthalmos, fine resting tremor, tachycardia, and warm, moist skin. Laboratory tests for thyroid function would be expected to yield a decreased value for which of the following?
1. Free T4
2. Radioactive iodine uptake
3. T3 resin uptake
4. Thyroid stimulating hormone

Correct answer: 4. Thyroid stimulating hormone

Explanation: - Given clinical features suggests the diagnosis of hyperthyroidism - Laboratory findings depicted in graves disease are: Decreased TSH levels Increased serum T3, free T4 levels Increased T3 resin upake Increased saturation of TBG Increased radioactive iodine uptake